True about Trench fever are all except -
1. Caused by Bartonella quintana
2. Also called 7-day fever
3. Transmitted by Pediculus corporis
4. Doxycycline is the treatment

Correct answer: 2. Also called 7-day fever

Explanation: Ans. is 'b' i.e., Also called 7-day feverTrench fevero Trench fever, also called 5-day fever or quintan fever, is caused by Bartonella quintana (Rochalimaea quintana).o The human body louce (Pediculus humans corporis) is the vector and humans is the only known reservoir.Clinical manifestationso The incubation period is 15-25 days (range, 3-38 days).o 'Classical' trench fever presents as febrile illness. Fever is exceedingly variable, but commonly lasts for about 5 days. The fever is followed by a remission and a recurrence after 5 days. These recurrences may be single or multiple and upto 12 recurrences every 5-6 days are not uncommon. o Other symptoms and signs include headache, back and limb pain, profuse sweating, shivering, myalgia, arthralgia, splenomegaly, a maculopapular rash in occasional cases, and nuchal rigidity in some cases.Diagnosiso Definitive diagnosis requires isolation of B. quintana by blood cultureo Weil-Felix test used for diagnosis of ricketssial infection is negative in trench fever.Treatmento It is treated with gentamycin along with doxycycline.